Most common cardiac defect in Turner syndrome
1. Pretruncal coarctation of aorta
2. Bicuspid aortic valve
3. Hypoplastic left heart
4. Mitral regurgitation

Correct answer: 2. Bicuspid aortic valve

Explanation: B > A